Meckel Diverticulum is a remnant of:
1. Vitelloumbilical duct
2. Vitellointestinal duct
3. Vitelloportal duct
4. Vitellodiaphragmatic duct

Correct answer: 2. Vitellointestinal duct

Explanation: b. Vitello intestinal duct(Ref: Nelson's 20/e p 1894-1897Ghai 8/e p 285-286)High Yield Points:Meckel diverticulum is the most common congenital anomaly of the GI tractIt is caused by the incomplete obliteration of the omphalomesenteric or Vitello intestinal duct during the 7th wk of gestation